TB burden is highest in which country
1. China
2. India
3. Pakistan
4. Bangladesh

Correct answer: 2. India

Explanation: Ans. is 'b' i.e., India o Tuberculosis remains a worldwide public health problem despite the fact that the causative organism was discovered more than 100 years ago and highly effective drugs and vaccine are available making TB a preventable and curative disease. o India is the highest TB burden country in the world and accounts for nearly one-fifth (20%) of global burden of TB, 2/3rd of cases in SEAR. o Eight out of ten of all those struck by tuberculosis are in economically productive age group of 15-49 years. o Since the national reporting system is defective, the only reliable source of information on the magnitude of the TB problem has been the population sample surveys.